Menke's Kinky hair syndrome is due to defect in
1. Ca transporter
2. Cu transporter
3. Zn transporter
4. Se transporter

Correct answer: 2. Cu transporter

Explanation: Menke's kinky hair syndrome is due to mutation in ATP7A gene, leading defective copper transporter.